The best method of evacuation of a missed abortion in uterus of more than 12 weeks:
1. Oxytocin infusion
2. Intramuscular prostaglandin (15 methyl PGF2a)
3. Prostaglandin El vaginal misoprostol followed by evacuation of the uterus
4. Suction evacuation

Correct answer: 3. Prostaglandin El vaginal misoprostol followed by evacuation of the uterus

Explanation: Prostaglandins are the best method of evaluation of a missed abortion in uterus more than 12 weeks. Reference:DC Dutta's Textbook of obstetrics,8th edition,page no:191